In infants, defecation often following meal. The cause of colonic contraction in this situation is
1. Gastroileal reflex
2. Enterogastric reflex
3. Increased circulation levels of CCK
4. Gastrocolic - reflex

Correct answer: 4. Gastrocolic - reflex

Explanation: Ans. (d) Gastrocolic - reflex(Ref: Ganong, 25th ed/p.504)Distension of the stomach by food - causes contractions of the rectum leading to defecation. This reflex is called gastrocolic reflex